Most common site for contact ulcer in larynx is
1. Arytenoids
2. Corniculate
3. Anterior 1/3 rd of vocal cord
4. Cricoid

Correct answer: 1. Arytenoids